Menke's disease" is a disease of
1. Impaired zinc transport
2. Impaired copper transport
3. Impaired magnesium transport
4. Impaired molybdenum transport

Correct answer: 2. Impaired copper transport

Explanation: Ans. is 'b' i.e., Impaired copper transport Menke's disease is caused due to defect in the copper transport. There is defect in the transport of copper present in the intestinal mucosa to the blood stream. The mucosal lining of intestine contains high level of copper bound to metallothionein protein. Rather than being transporated to bloodstream, the copper remained in the mucosa and was lost when intestinal cells were naturally soughed off. Menkes disease is caused due to defect in the "MNK" gene. The protein normally function by moving copper from the intestinal mucosal cells into the blood stream, where it is hound by proteins such as albumin and transported to organs and tissues. Serum copper is critical for the functioning of several enzymes Lysyl oxidase - It is important for the cross linking of collagen and elastin such that deficiencies lead to problems in connective tissues such as bones Cytochrome oxidase - Involved in temperature maintenance Tyrosinase - Necessary for pigmentation Clinical features of menkes disease Growth retardation Coarse hair, brittle and ivory white (result of depigmentations). The hair fibres are twiisted and broken helically (kinky hair). Seizures Cerebral and cerebellar degeneration (postmortem analysis) Hypothermia Thrombosis Poor bone development Increased tendency towards aneurysms